Tellurite stimulates growth of
1. E. coil
2. Cl. Tetani
3. Corynebacterium diphtheriae
4. Salmonella

Correct answer: 3. Corynebacterium diphtheriae

Explanation: Tellurite inhibits the growth of most other bacteria acting as a selective agent for diphtheria bacilli. Diphtheria bacilli reduce Tellurite to metallic tellurium which is incorporated in colonies giving them a grey or black colour. Reference: Textbook of Microbiology; Anathanarayan and panicker's; 10th edition; Page no: 242